All of the following cause high anion gap acidosis EXCEPT
1. Starvation
2. Diabetic ketoacidosis
3. Methyl alcohol ingestion
4. Glue sniffing

Correct answer: 4. Glue sniffing